Cause of liver cirrhosis in childhood include?
1. Alpha-1 antitrypsin deficiency
2. Coeliac disease
3. Phenylketonuria
4. Cow's milk intolerance

Correct answer: 1. Alpha-1 antitrypsin deficiency

Explanation: Ans. is 'a' i.e., Alpha-1 antitrypsin deficiency Cirrhosis in children o Cirrhosis is a histologically defined condition of the liver characterized by diffuse hepatocyte injury and regeneration. o Causes of cirrhosis in children are ? 1) Post necrotic Viral hepatitis --> HBV, HCV Idiopathic neonatal hepatitis a1-antitrypsin deficiency Autoimmune or drug induced hepatitis Wilson disease Hemochromatosis Tyrosinemia Galactosemia 2) Biliwy Biliary atresia Choledochal cyst Tumor of bile duct Caroli disease Cystic fibrosis Primary sclerosing cholangitis PFIC Paucity of intrahepatic bile ducts 3) Hypersensitivity to drug --> Phenytoin 4) Parasites --> Opisthorchis sinensis, Ascaris, Fasciola.